A patient of schizophrenia treated for 5 years developed perioral movements. Likely diagnosis is:
1. Tardive dyskinesia
2. Muscular dystonia
3. Akathisia
4. Malignant neuroleptic syndrome

Correct answer: 1. Tardive dyskinesia

Explanation: Ans. A. Tardive dyskinesiaTardive dyskinesia is the abnormal movement of tongue, lips or buccal cavity after long time intake of antipsychotic drug intake. It develops after minimum of six months of antipsychotic intake.